Most common renal tumor in neonatal period:
1. Renal cyst
2. Congenital mesoblastic nephroma
3. Neuroblastoma
4. Nephroblastoma

Correct answer: 2. Congenital mesoblastic nephroma

Explanation: "Although congenital mesoblastic nephroma (CMN) is a rare benign congenital renal tumor it is the most common solid renal tumor in the neonatal period."